‘Disability Limitation’ is mode of intervention for:
1. Primordial Prevention
2. Primary Prevention
3. Tertiary Prevention
4. Secondary Prevention

Correct answer: 3. Tertiary Prevention

Explanation: Primary Level - Health Promotion and Specific Protection.
Secondary Level - Early Diagnosis and Treatment.
Tertiary Level - Disability Limitation and Rehabilitation.